Lack of Homogentisate oxidase enzyme causes
1. Phenylketonuria
2. Alkaptonuria
3. Maple syrup urine disease
4. Homocystinuria

Correct answer: 2. Alkaptonuria

Explanation: (B) Alkaptonuria # ALKAPTONURIA: The defective enzyme in alkaptonuria is homogentisate oxidase in tyrosine metabolism. Homogentisate accumulates in tissues & blood, gets oxidized to the corresponding quinones, which polymerize to give black or brown colour. For this reason, the urine of alkaptonuric patients resembles coke in colour.